The following host tissue responses can be seen in acute infection, except?
1. Exudation
2. Vasodilation
3. Margination
4. Granuloma formation

Correct answer: 4. Granuloma formation

Explanation: Ans. (d) Granuloma formationRef: Robbiris pathology 9th ed. 197* Granuloma formation is characteristic of chronic granulomatous inflammation and is not seen in acute inflammation.* Vasodilation, increase in permeability, exudation, margination, rolling etc. are seen in acute inflammation.